Cryptogenic organising pneumonia Is characterised by all of the following except
1. Migratory pulmonary opacities
2. Obstructive pattern of pulmonary function
3. Arterial hypoxemia
4. Good response to corticosteroids

Correct answer: 2. Obstructive pattern of pulmonary function

Explanation: In cryptogenic organizing pneumonia,pulmonary function is impaired with a restrictive defect and arterial hypoxaemia,being most common.Chest X ray shows bilateral,patchy/diffuse,recurrent & migratory pulmonary opacities.These changes are more frequent in the periphery of the lung and in the lower lung zone.Glucocorticoid therapy induces clinical recovery in two-thirds of patients. Reference:Harrison's medicine-18th edition,page no:2166,2167.